IPC 193 is for -
1. Perjury
2. Punishment for perjury
3. Issuing false certificate
4. Causing disappearance of evidence

Correct answer: 2. Punishment for perjury

Explanation: Ans. is 'b' i.e., Punishment for perjury Perjury, Hostile witness and false certificate* 191 IPC: (i) Giving false evidence (perjury) under oath and (ii) hostile witness.* 192 IPC: Fabricating false evidence (perjury).* 193 IPC: Punishment for false evidence (punishment for perjury): imprisonment upto 7 years + fine.* 194 IPC: Giving or fabricating false evidence to procure conviction of capital offence.* 195 IPC: Giving or fabricating false evidence to procure conviction of offence punishable with imprisonment for life.* 197 IPC: Issuing or signing (attesting) false certificate by a doctor is a criminal offence.* 201 IPC: Causing disappearance of evidence.